Which of the following statements about Wilson's disease is true:
1. Low serum ceruloplasmin and low urinary copper
2. Low serum ceruloplasmin and high urinary copper
3. High serum ceruloplasmin and low urinary copper
4. High serum ceruloplasmin and high urinary copper

Correct answer: 2. Low serum ceruloplasmin and high urinary copper

Explanation: Answer is B (Low serum ceruloplasmin and high urinary copper) Wilson's disease is associated with low levels of serum ceruloplasmin and high urinary copper excretion The basic defect in Wilson's disease is reduced biliaiy excretion of copper due to a mutation of gene on chromosome 13 which promotes copper excretion. This leads to accumulation of copper initially in the liver and subsequently in plasma and other systems once liver is saturated. Serum ceruloplasmin is the main copper binding protein in the blood and once excess copper spills into the blood, levels of free ceruloplasmin are decreased. Also excess copper is eventually excreted in urine and hence urinary copper levels are increased or high.